Which of the following ligaments contains splenic artery?
1. Gastrosplenic ligament
2. Splenocolic ligament
3. Splenorenal ligament
4. Splenophrenic ligamnet

Correct answer: 3. Splenorenal ligament

Explanation: The splenorenal ligament is derived from the peritoneum, where the wall of the general peritoneal cavity comes in contact with the lesser sac between the left kidney and the spleen; the splenic artery and vein passes between its two layers. It also contains the tail of pancreas. Ref - britannica.com